A 2 year old boy with Vitamin A deficiency is treated with
1. 1 lakh IU on days 0,1,14
2. 1 lakh IU on days 0,1,6
3. 2 lakh IU on days 0,1,14
4. 2 Lakh IU on days 0,1,6

Correct answer: 3. 2 lakh IU on days 0,1,14

Explanation: * Treatment for Vitamin A defiiency is given 3 doses. Days 0,1,14 with doses appropriate for the age. Less than six months of age-50000 IU per dose, 6-12 months of age-100000 IU and >1 year- 200000 IU per dose. Ref:- K Park, 24th ed; pg num:- 654